A 24-year-old woman comes to a hospital to deliver her baby. Her obstetrician uses a caudal anesthesia during labor and childbirth to block the spinal nerves in the Epidural space. Local anesthetic agents are most likely injected which of the following openings?
1. Intervertebral Foramen
2. Sacral Hiatus
3. Vertebral canal
4. Dorsal Sacral Foramen

Correct answer: 2. Sacral Hiatus

Explanation: Caudal (epidural) anesthesia is used to block the spinal nerves in the epidural space by injecting local anesthetic agents the sacral hiatus located between the sacral cornua. An intervertebral foramen transmits the dorsal and ventral primary rami of the spinal nerves. The vertebral canal accommodates the spinal cord. Dorsal and ventral sacral foramina transmit the dorsal and ventral primary rami of the sacral nerves.